What is the most common cause of failure of radiotherapy for stage II cervical carcinoma?
1. Liver metastasis
2. Bone metastasis
3. Para-aortic node metastasis
4. Resistance of the central tumor

Correct answer: 3. Para-aortic node metastasis

Explanation: In stage II cervical cancer, the incidence of nodal involvement is 25%-40%. Most tumors are not radioresistant, and distant metastasis (i.e., a more advanced stage) are a late complication of more advanced stages of the disease.